During a manic episode, a patient typically exhibits:
1. Delusion of persecution
2. Low self-esteem
3. Crying spells
4. Grandiosity

Correct answer: 4. Grandiosity

Explanation: Ans. Grandiosity